Management of violent patient in psychiatry is treated with all except:-
1. BZD
2. CBT
3. ECT
4. Haloperidol

Correct answer: 2. CBT

Explanation: Usually a violent patient in Psychiatry comes with a condition of mania or schizophrenia. CBT (cognitive behavioral therapy)takes longer i.e. months of therapy so can't be used in an emergency management of a violent patient. Cognitive behavioral therapy (CBT) is usually a short-term approach, typically with 12 to 20 sessions. * CBT is a collaborative, structured, and goal-oriented intervention that targets core components of a given disorder. BZD can be used to decrease agitation ECT(Electro convulsive therapy) can bring the symptoms down immediately. Haloperidol inj. can be used in the treatment of acute agitation and it is considered as the best treatment for acute agitation